Bronchus is the site of pathological changes for all of the following diseases, except:
1. Chronic bronchitis
2. Asthma
3. Bronchiectasis
4. Emphysema

Correct answer: 4. Emphysema

Explanation: Emphysema occurs at the site of acinus, the anatomical site for the rest of them is the bronchus.